In a positively shewed curve, true statement is?
1. Mean = median
2. Mean < Mode
3. Mean > Mode
4. Mean = Mode

Correct answer: 3. Mean > Mode